All are true about FTA-ABS in Syphilis, except ?
1. FTA - ABS becomes negative after treatment
2. Present in secondary syphilis
3. It is a specific test
4. May be positive in Lyme's disease

Correct answer: 1. FTA - ABS becomes negative after treatment

Explanation: Ans. is 'a' i.e., FTA-ABS becomes negative after treatment . Specific treponemal tests (FTA-ABS, TPHA, TPI) are of little value as indicators of clinical cure, as they tend to remain positive inspite of treatment.